Parachute reflex disappears by:
1. 1 year
2. 2 years
3. 3 years
4. Persists forever

Correct answer: 4. Persists forever

Explanation: Ans. D i.e. Persists Parachute (forward) reflex When:This occurs from about 9 months of age and persists. What:If the baby is held in a position where he is dropped forward, he will outstretch his hands. This is one of the baby milestones that is protective for falling.